Treatment option for keratoconus includes:
1. Spectacles
2. Contact lens
3. Kerotoplasty
4. ALL

Correct answer: 4. ALL

Explanation: A. i.e. Spectacles; B. i.e. Contact lens; C. i.e. Keratoplasty